Which of the following factor is not responsible for lens transparency
1. Avascularity
2. Antioxidants
3. Aquaporins
4. Hydration

Correct answer: 4. Hydration

Explanation: Dehydration and not hydration is responsible for lens transparency Factors Responsible For Lens Transparency - Avascularity - Tightly packed nature of lens fibres produced by mitosis of pre-equatorial epithelial cells] - Loss of Organalles - Dehydration - Aquaporins MIP26 - Antioxidant Vit C, E, superoxide dismutase, glutathione, SOD & Catalase. NOTE - Youngest lens fibers are present in cortex (peripheral part) oldest fibers are present in nucleus (central part)